Notching of the ribs is seen in man
1. TR
2. TOF
3. Coarctation of aorta
4. PDA

Correct answer: 3. Coarctation of aorta

Explanation: Coarctation of aorta